Burst abdomen after laprotomy takes place after:
1. 1-2 days
2. 7-10 days
3. usually after 3 weeks
4. after one month

Correct answer: 2. 7-10 days

Explanation: Ans is 'b' i.e. 7-10 days "Dehiscence most often develops 7 to 10 days postoperatively but may occur anytime after surgery, from I to more than 20 days."- Sabiston